Cachexin is
1. IL-2
2. IL-12
3. INF-gamma
4. TNF

Correct answer: 4. TNF

Explanation: In patients with advanced cancers, this inflammatory reaction can be so extensive as to cause systemic signs and symptoms such as Cachexia, or wasting due to cancer, manifests with weakness, weight loss, anorexia, anaemia, and infection. The principal cytokine responsible for such manifestations is tumour necrosis-a (TNF-a) IL-12 Increased production of IFN-g IFN-g Activation of macrophages (increased ability to kill microbes and tumour cells) IL-2 growth factor for T cell ref robbins 9th ed page 315, 101